A female patient presents with diffuse alopecia to you. She had suffered from typhoid fever 4 months back. Most probable diagnosis is-
1. Androgenetic alopecia
2. Telogen effluvium
3. Anagen effluvium
4. Alopecia areata

Correct answer: 2. Telogen effluvium

Explanation: telogen effluvium is the loss of telogen hairs that occurs 2-4 months after systemic stressfull episode. Other causes are nutritional deficiencies (iron deficiency anemia), febrile states like typhoid malaria,TB,HIV, stress from surgeries or injuries, starvation, crash diets, malignancies, renal and hepatic failure, hair dye application. normal telogen hairs on scalp- 13% telogen effluvium telogen hair %-20-25% androgenetic alopecia is patterned baldness not diffuse anagen effluvium anagen hairs are lost more hair loss. and seen after taking antimitotics and cytotoxic drugs and radiation therapy alopecia areata is patchy hair loss Harrison20th edition pg 1209